All of the following are true regarding fluid resuscitation in burn patients except
1. Consider intravenous resuscitation in children with burns greater then 15% TBSA
2. Oral fluids must contain salts
3. Most preferred fluid is Ringer,s lactate
4. Half of the calculated volume of fluid should be given in first 8 hours.

Correct answer: 1. Consider intravenous resuscitation in children with burns greater then 15% TBSA